All of the following are treatment modalities in malignant mesothelioma except
1. Talc Pleurodesis
2. Extrapleural pneumonectomy
3. Combination therapy with surgery, chemotherapy and radiotherapy
4. Exclusive Radiotherapy

Correct answer: 4. Exclusive Radiotherapy

Explanation: Answer- D. Exclusive RadiotherapyTreatment options include supportive care only, surgical resection, ard multimodality approaches (using a combination of surgery, chemotherapy, and radiation therapy).